Pivoting movement better resisted by a tooth preparation if:
1. Diameter is smaller
2. Diameter is large
3. Diameter is large and length is small
4. Do not depend on diameter of tooth

Correct answer: 1. Diameter is smaller